Megaloblastic anemia may be caused by all of the following except -
1. Phenytoin
2. Methotrexate
3. Pyrimethamine
4. Amoxycilline

Correct answer: 4. Amoxycilline